Following is part of “Sentinel Surveillance” EXCEPT
1. Method for identifying the missing cases
2. Supplementing the notified cases
3. To estimate the fatality of the disease
4. To estimate the disease prevalence in total population

Correct answer: 3. To estimate the fatality of the disease